A patient gives a history of recurrent oral ulcers. The ulcers are small with a yellow floor surrounded by an erythematous halo on the lips. He also has multiple, tender nodules on the skin. He most likely has-
1. Behcet's syndrome
2. Herpes labialis
3. Fixed drug eruption
4. Pemphigus vulgaris

Correct answer: 1. Behcet's syndrome

Explanation: This patient has : -


Recurrent oral ulcers
Ulcers are small with yellow floor surrounded by an erythematous halo aphthous ulcers.
Tender nodules on skin  → Erythema nodosum.


Diagnosis is Behcet's syndrome.